Common sites for mongolian spot are ___________
1. Face
2. Neck
3. Lumbosacral area
4. Leg

Correct answer: 3. Lumbosacral area

Explanation: Mongolian spot: Grey blue pigmented macules over lumbosacral region. May be found in other areas like buttocks, posterior thighs, back etc. Benign Fades over months to years. More frequent in pigmented skin race. Associated with downs syndrome and GM1 gangliosidosis. Reference: GHAI Essential pediatrics, eighth edition